Pigmentation and growth retardation is seen in?
1. Zinc deficiency
2. Riboflavin deficiency
3. Niacin deficiency
4. Vit A deficiency

Correct answer: 1. Zinc deficiency

Explanation: Ans. is 'a' i.e., Zinc dificiency